A 50 year old male is taking medication for tuberculosis since the last 2 months comes to the OPD with a complaint of hearing problems. The drug with which of the following mechanisms of action is most likely causing these symptoms?
1. Binds to 30S Ribosome subunit and inhibits initiation complex
2. Inhibits DNA Dependent RNA Polymerase
3. Inhibits synthesis of mycolic acid
4. Inhibits synthesis of arabinoglycan subunits

Correct answer: 1. Binds to 30S Ribosome subunit and inhibits initiation complex

Explanation: Streptomycin used in Tuberculosis produce ototoxicity. Aminoglycosides act by inhibiting protein synthesis after binding to the 30s ribosome and inhibiting 1st step - initiation complex formation.Ref: Katzung 13th ed Pg 799